Which of the following is difference between Rheumatoid arthritis and osteoarthritis -
1. Osteopytes are seen in osteoarthritis
2. Systemic symptoms are seen in osteoarthritis
3. Rheumatoid arthritis is uncommon in hands and feet
4. Osteoarthritis is an autoimmiune disease

Correct answer: 1. Osteopytes are seen in osteoarthritis

Explanation: Ans. is 'a' i.e., Osteopytes are seen in osteoarthritis OsteoarthritisRheumatoid arthritisDegenerative processInflammatory processOsteophytes seenOsteophytes not soonAffects elderlyAffects middle aged femalesSmall joints of hands and feet affectedLarge joints like hip and knee along with PIP & DIP joints affectedESR, CRP usually normalESR, CRP, RA Factor elavated